All of the following can be associated with PNH Except:
1. Cerebral thrombosis
2. Budd chiari syndrome
3. Pancytopenia
4. Massive splenomegaly

Correct answer: 4. Massive splenomegaly

Explanation: Answer is D (Massive splenomegaly) PATH is usually not associated with a massive splenomegaly `Splenomegaly is present in some patients with PNH, but the enlargement of spleen is usually quiet modest'.